Most powerful chain breaking antioxidant:
1. Vitamin C
2. Alpha - tocopherol
3. Catalase
4. Glutathione peroxidase

Correct answer: 2. Alpha - tocopherol

Explanation: Alpha- tocopherol is most powerful chain breaking anti-oxidants. 2 Classes of antioxidants Chain breaking anti - oxidants : (They interfere with chain propagation) Alpha - tocopherol Beta - carotene Vitamin C Super oxide dismutase (SOD) Uric acid/Urate Polyphenols Preventive antioxidants: (They reduce the rate of chain initiation) Glutathione peroxidase Catalase Ceruloplasmin & transferrin (Chelate metal ions)